Best imaging modality for diagnosis of Tubercular meningitis is?
1. CE-CT
2. CE-MRI
3. PET
4. SPECT

Correct answer: 2. CE-MRI

Explanation: Ans BBasal cisternal enhancement is often seen in TB meningitis and CT scan has lower resolution for skull base as compared to MRI. PET and SPECT have more role in neoplasms and degenerative disorders of brain.